Jarisch - Herxheimer reaction are seen in syphilis With
1. Tetracyclines
2. Penicillines
3. Co-trimoxazole
4. Sulfonamides

Correct answer: 2. Penicillines

Explanation: (Penicillin) (657-KDT) (698-KDT 6th)Jerisch-Herxheimer reaction:- Penicillin injected in a syphilitic patient (particularly secondary syphilis) may produce shivering, fever myalgia, exacerbation of lesions, even vascular collapse. This is due to sudden release of spirochetal lytic products and lasts 12-72 hours. It does not recur and does not need interruption of therapy.Aspirin and sedation afford relief of symptoms.